All of the following are pneumatic bones Except
1. Maxilla
2. Parietal
3. Ethmoid
4. Mastoid

Correct answer: 2. Parietal

Explanation: B. i.e. ParietalMaxilla, Mastoid, Ethmoid, Sphenoid & FrontalQ bones are pneumatic bones